One of the health benefits of the use of combined oral contraceptives in pre-menopausal women is that these contraceptives reduce the risk of:
1. Deep vein thrombosis
2. Migraine
3. Ovarian cancer
4. Ischemic stroke

Correct answer: 3. Ovarian cancer

Explanation: Non contraceptive benefits of contraceptives: it decreases the risk of following condition Other: Ovarian cyst B: Benign breast disease E: Endometriosis N: Neoplasia(endometrial and ovarian cancers) E: Ectopic pregnancy F: Fibroid I: Iron deficiency T: Premenopausal Tension Syndrome S: Skeletal disease(osteoporosis)